Which of the following best describes Baroreceptors?
1. Stretch receptor
2. Ligand gated receptor
3. Chemo-receptor
4. Enzyme receptor

Correct answer: 1. Stretch receptor

Explanation: Baroreceptors: - Baroreceptor system is a simple & excellent example of rapidly acting control mechanism. They are present abundantly in the walls of the bifurcation region of the carotids in the neck & in the wall of the aortic arch. Baroreceptor are stimulated when stretched. The carotid baroreceptors are transmitted through small Hering's nerve, to the IXth nerve, in the high neck & then to the nucleus tractus solitarius in the medullary area of brain stem. Signal from aortic BR in the aortic arch transmitted through the vagus nerve to same nucleus tractus solitarius of the medulla.